Regarding Campylobacter jejuni which is not true?
1. Most common cause of Campylobacteriosis
2. Poultry is the cause of the disease
3. Human is the only reservoir
4. Causes Guillian Barre syndrome

Correct answer: 3. Human is the only reservoir

Explanation: Campylobacter: Campylobacter are small, comma-shaped, Gram-negative rods. Campylobacter enteritis resembles other acute bacterial diarrhea The source of infection may be food (eg, milk, undercooked fowl) or contact with infected animals or humans and their excreta. C jejuni serotype O19 have been associated with Guillain-Barre's syndrome & Alpha chain disease. Campylobacter infections are zoonotic. Infected animals are the main reservoir of the infection. Infected animal food products are the source of infection.